Age related dementia has been associated with increased levels of-
1. Homocysteine
2. Cysteine
3. Tourine
4. Methionine

Correct answer: 1. Homocysteine